Miliary shadow on chest X-ray is not seen in:
1. Pneumoconiosis
2. Sarcoidosis
3. Tuberculosis
4. COPD

Correct answer: 4. COPD

Explanation: Ans. D: COPD Conditions producing miliary shadows on chest X-ray: Sarcoidosis Silicosis/pneumoconiosis Extrinsic allergic alveolitis Langerhans cell histiocytosis Lymphangitis carcinomatosis Miliary tuberculosis Metastases